Which of these best defines puerperium:
1. A period of 6 weeks following expulsion of placenta
2. A period after 6 weeks of delivery upto 12 weeks
3. A period of 24 hrs after delivery
4. The entire peripartum period upto 6 weeks following childbirth

Correct answer: 1. A period of 6 weeks following expulsion of placenta

Explanation: Puerperium begins as soon as the placenta is expelled and lasts for approximately 6 weeks when the uterus and all other pelvic organs regress back almost to the non-pregnant size and function